Transovarian transmission is a feature of-
1. Scrub fever
2. Epidemic typhus
3. Endemic typhus
4. Trench fever

Correct answer: 1. Scrub fever

Explanation: The causative agent of scrub typhus: Rickettsia tsutsugamushi. It is the larva that feeds on vertebrate hosts and picks up the rickettsias. The larval stage serves as both as a reservoir, through ovarian transmission and as a vector for infecting humans and rodents (refer pgno 300 park 23rd edition)